Lifespan of Cu-T 380A is:
1. 5 years
2. 10 years
3. 15 years
4. 20 years

Correct answer: 2. 10 years

Explanation: Ans. B: 10 years Copper-T 380A known as paraguard has a life span of 10 years Lifespan Progestasert: 1 year Cu-T 200B: 4 years Nova T and LNG IUCD: 5 years Cu-T 380A: 10 years